Carcinoma, which has predilection for metastasis to hands and feet bones:
1. Prostate
2. Bronchus
3. Pelvis
4. Breast

Correct answer: 2. Bronchus

Explanation: Ans. B: Bronchus In adults, the metastatic lesions generally occur in the axial skeleton and other sites with residual red marrow, although the lesions may be found anywhere in the skeletal system. Common sites for metastases are the vertebrae, pelvis, proximal parts of the femur, ribs, proximal part of the humerus, and skull. Certain carcinomas may have a predilection for particular skeletal sites. For example, metastases to the bones of the hands and feet are rare, but 500/0 of hand metastases originate from lung neoplasms Primary tumors arising from the pelvis have a predilection for spread to the lumbosacral spine.